Which is the most common functioning tumour of pituitary?
1. GH secreting tumor
2. Prolactinoma
3. ACTH producing adenoma
4. Oncocytoma

Correct answer: 2. Prolactinoma

Explanation: MC Functioning tumour of pituitary: Prolactinoma MC tumor of pituitary: Non- functioning adenoma